All of the following are true about Juvenile myoclonic epilepsy, except:
1. Focal seizures
2. Generalized seizures
3. Myoclonus
4. Responses to sodium valproate

Correct answer: 1. Focal seizures

Explanation: JME is a generalized seizure disorder of unknown cause.Occurs in early adolescence & characterized by bilateral myoclonic jerks that may be single or repetitive, more common after awakening and can be provoked by sleep deprivation.Also experience generalized tonic-clonic seizures, and up to one-third have absence seizures.Complete remission is uncommon, but well respond to anticonvulsant medication. Ref - Harrison's internal medicine 20e pg 3052